Drug which do not cause hyperprolactinemia:
1. Bromocriptine
2. Haloperidol
3. Reserpine
4. Chlorpromazine

Correct answer: 1. Bromocriptine

Explanation: Ans. A. BromocriptineAll of the drugs listed are D2 blockers which are associated with hyperprolactinemia except bromocriptine which is D 2 agonist.